The strongest attachment of the vitreous body to the surrounding structures is at the level of
1. Posterior surface of the lens
2. Foveal region
3. Optic disc
4. Vitreous base

Correct answer: 4. Vitreous base

Explanation: Vitreous humour Vitreous humour is an inert, transparent, jelly-like structure that fills the posterior four-fifth of the cavity of eyeball and is about 4 ml in volume. It is a hydrophilic gel that mainly serves the optical functions. In addition, it mechanically stabilizes the volume of the globe and is a pathway for nutrients to reach the lens and retina. Attachments: The part of the vitreous about 4 mm across the ora serrata is called as vitreous base, where the attachment of the vitreous is strongest. The other firm attachments are around the margins of the optic disc, foveal region and back of the crystalline lens by hyloidocapsular ligament of Wieger. Image : Cross-sectional view of the human eye depicting different substructures of the vitreous body. The most anterior vitreous is a thin collagenous layer called the anterior hyaloid. The vitreous core comprises the entire central region of the vitreous body. This portion of the vitreous is more aqueous in contrast to the vitreous base, which is viscous enough to be grasped by forceps and is firmly attached to the underlying ciliary body and retina. Encompassing the vitreous core is a very thin collagenous shell called the vitreous cortex. Reference: A K KHURANA; pg num:-243